Mamography for breast cancer is an example of which of the following?
1. Primordial
2. Primary
3. Secondary
4. Tertiary

Correct answer: 3. Secondary

Explanation: Screening tests are examples of secondary prevention activities, as these are done on those without clinical presentation of disease that has a significant latency period such as hyperlipidemia, hypertension, breast and prostate cancer. With early case finding, the natural history of disease or how the course of an illness unfolds over time without treatment can often be altered to maximize well-being and minimize suffering.